In B/L, abductor palsy of vocal cords following is done except:
1. Teflon paste
2. Cordectomy
3. Nerve muscle implant
4. Arytenoidectomy

Correct answer: 1. Teflon paste

Explanation: Ans. is a i.e Teflon paste In Bilateral Abductor paralysis (i.e. bilateral paralysis of RLN), the cords lie in median or paramedian position due to unopposed action of cricothyroid muscle. Since, both the cords lie in median or paramedian position, the airway is inadequate causing dyspnea and stridor. Principle for managing such cases is: lateralisation of the cord and not further medialization of cord by injection of Teflon For more details see the proceeding text.